True about acarbose are all, except:
1. Controls both pre and post prandial hyper
2. It decreases fibrinogen level
3. It is an alpha glucosidase inhibitor
4. It delays progression of diabetes

Correct answer: 1. Controls both pre and post prandial hyper

Explanation: Controls both pre and post prandial hyper